All are true regarding optic neuritis, EXCEPT:
1. Decreased visual acuity
2. Decreased pupillary reflex
3. Abnormal electroretinogram
4. Abnormal visual evoked response retinogram

Correct answer: 3. Abnormal electroretinogram

Explanation: Optic neuritis is inflammation and demyelination of optic nerve. Electroretinogram is therefore not abnormal in optic neuritis. Ref: Parson's Diseases of the Eye, Page 114 ; Comprehensive Ophthalmology By A K Khurana, 4th Edition, Pages 294-5, 488-9